Excretory urography should be cautiously performed in
1. Bone 2deg
2. Multiple myeloma
3. Neuroblastoma
4. Leukemia

Correct answer: 2. Multiple myeloma

Explanation: B i.e. Multiple Myeloma